A well differentiated follicular carcinoma of thyroid can be best differentiated from a follicular adenoma by:-
1. Hurthle cell change
2. Lining of tall columnar and cuboidal cells
3. Vascular invasion
4. Nuclear features

Correct answer: 3. Vascular invasion

Explanation: Vascular invasion is best to diffrentiate between follicular carcinoma and Follicular adenoma